Caudal regression syndrome is seen in babies of the mother having
1. PIH
2. Anemia
3. Cardiac disease
4. Diabetes

Correct answer: 4. Diabetes

Explanation: The caudal regression sequence is a rare malformation frequently associated with maternal diabetes.Ref: William's Obstetrics; 24th edition; Chapter 57; Diabetes Mellitus